Down's cephalometric analysis uses ____line as a reference plane
1. ANS-PN5
2. SN plane
3. Porion - Orbitale
4. Gonion- Menton

Correct answer: 3. Porion - Orbitale